All are anti–androgens except:
1. Finasteride
2. Flutamide
3. Cyproterone acetate
4. Dihydrotestosterone

Correct answer: 4. Dihydrotestosterone